Chepuwa is:
1. Beating the soles
2. Compressing the thigh after putting between two rods
3. Force-feeding unpalatable substances
4. Submerging the head repeatedly under water

Correct answer: 2. Compressing the thigh after putting between two rods

Explanation: Ans. Compressing the thigh after putting between two rods